Anewlypostedjuniordoctorhaddifficultyinfindingoutbasedeficit/excessforbloodinagivenpatient.Anexperienced senior resident advised a quick method to determine acid-base composition of blood-based on pCO2. Which of the following is the likely method he suggested to predict acid base composition of blood
1. Red ford nomogram
2. DuBio's nomogram
3. Goldman constant field equation
4. Siggard-Andersen nomogram

Correct answer: 4. Siggard-Andersen nomogram

Explanation: Siggard-Anderson nomogram: plots the acid-base charecteristics of arterial blood PCO2 is placed on the vertical axis and pH on the horizontal axisVertical line through pH 7.40: any point to the left denotes acidosis & any point to right denotes alkalosisHorizontal line through p CO2 of 40 mmHg: point above or below this line defines the effective degree of hypo or hyperventilationRef: Ganong 19/e p703 fig 39.8